Which of the following is not an accepted method of randomization -
1. Computer drawn randomization
2. Odd/even day hospital admission
3. Lottery
4. Random number table

Correct answer: 2. Odd/even day hospital admission